Infections encountered after splenectomy are following Except
1. H. influenza
2. Streptococccus pneumoniae
3. Klebsiela
4. Neisseria

Correct answer: 3. Klebsiela

Explanation: Post splenectomized patients are more prone for infections with encapsulated organisms like Pneumococcus, Neisseria, H.influenza, Babesia due to defective phagocytosis as there is reduced IgM, properdin tuftin and other antibodies. Reference: SRB 5 the edition page no. 677